The recommended level of anti-coagulation for most patients is an INR of
1. 1.0-2.0
2. 2.5-3.5
3. 2.0-3.0
4. 3.0-4.56

Correct answer: 3. 2.0-3.0